Phase-2 reaction is -
1. Oxidation
2. Hydroxylation
3. Cyclization
4. Conjugation

Correct answer: 4. Conjugation

Explanation: Ans. is 'd' i.e., conjugation o Phase I reactions - Oxidation (including hydroxylation), reduction, hydrolysis, cyclization and decyclization.o Phase II reactions - Conjugation reaction (glucuronidation, sulfation, acetylation, methylation, conjugation with glutathione, aminoacid conjugation).